Bennet's Fracture involves
1. Base of Ist metacarpal
2. Neck of Ist metacarpal
3. Base of Vth metacarpal
4. Neck of Vth metacarpal

Correct answer: 1. Base of Ist metacarpal

Explanation: Fracture of the base of the first metacarpal is called Bennett's fracture.It involves the anterior part of the base, and is caused by a force along its long axis. The thumb is forced into a semiflexed position and cannot be opposed. The fist cannot be clenchedReference: Vishram Singh Anatomy; 2nd edition; Page no: 32